In Patey's modified mastectomy, which of the following is preserved?
1. Intercostobrachial nerve
2. Pectoralis major
3. Pectoralis minor
4. Axillary fascia

Correct answer: 2. Pectoralis major

Explanation: In Patey's modified mastectomy, pectoralis major is preserved. PATEY'S modification* En bloc removal of nipple, areola, skin, breast tissue, breast mass + level, I, II, III LN +Excision of pectoralis minor. Variants of MRM Auschincloss Procedure Removes all breast tissue, nipple-areola complex, skin and level I & II axillary LNs. PATEY'S modification Pectoralis minor is removed to allow complete dissection of level III axillary LNs Scanlon's Modification Pectoralis minor is divided instead of removing.Division of pectoralis minor allows complete removal of level III axillary LNs